Which of the following is an Integrase inhibitor used to treat HIV?
1. Maraviroc
2. Ritonavir
3. Raltegravir
4. Enfluviritide

Correct answer: 3. Raltegravir

Explanation: Integrase InhibitorsHIV integrase aids the insertion of viral DNA into host cell DNA. This occurs after the viral reverse transcriptase (RNA/DNA-dependent DNA polymerase) produces double-stranded viral DNA. This step is key to the cell becoming a permanent carrier. Two integrase inhibitors, raltegravir and elvitegravir, are approved for use.Ref: Sherris microbiology; 6th edition; Page no: 158